Features of fungal ulcer :
1. Symptoms more than signs
2. Dry ulcer
3. Diffuse corneal edema
4. All

Correct answer: 2. Dry ulcer

Explanation: B i.e. Dry ulcer